True statement about Rheumatic fever in children –a) Polyarthritisb) Caused by c hemolytic streptococcic) Erythema marginatum is most common manifestationd) Most common valve involvement is Mitrale) Erythema marginatum is common in face
1. b
2. c
3. ac
4. ad

Correct answer: 4. ad

Explanation: Most commonly involved valve in case of Rheumatic carditis is the mitral valve and the most common valvular deformity produced is mitral regurgitation.
In patient with Rheumatic heart disease the mitral valve alone is involved in 65% to 70% cases, followed by Aortic valve in 25% cases.
The valvular deformity becomes manifested when Rheumatic fever becomes chronic.
Chronic Rheumatic heart disese is characterized by organization of the acute inflammation and subsequent fibrosis.
In particular, the valvular leaflets becomes thickened and retracted causing permanent deformity.
The cardinal anatomical changes which are produced to chronicity are leaflet thickening. commissuralfizsion and shortening and thickening and fusion of the tendinous cords.
These abnormalities lead to the most serious complication of Rheumatic fever i.e., Valvular stenosis and /or regurgitation.
Most common manifestation of Rheumatic fever is arthritis.
Erythema marginatum spares the face.